Combination of amoxycillin with clavulanic acid is active against all of the following organisms except
1. MRSA
2. Penicillinase producing Staph, aureus
3. Penicillinase producing N. gonorrhoea
4. Beta lactamase producing E. coli

Correct answer: 1. MRSA

Explanation: Ans. (A) MRSA(Ref: GG 1479)Methicillin resistance occurs due to altered penicillin binding proteins, therefore cannot be reversed by b-lactamase inhibitor like clavulanic acid